The final cleavage products of proopiomelanocortin (POMC) are all of the following except
1. MSH
2. Testosterone
3. Lipotropin
4. Endorphin

Correct answer: 2. Testosterone

Explanation: POMC- A gene on chromosome 2p23 that encodes proopiomelanocortin, the melanocortin family of hormones, which include alpha-, beta- and gamma-melanocyte stimulating hormone (MSH) and adrenocorticotropic hormone (ACTH). The melanocortins bind to the melanocortin receptors, a group of five G protein-coupled receptors (MC1R to MC5R) which are involved in a wide range of physiological functions, including pigmentation, energy homeostasis, inflammation, immunomodulation, steroidogenesis and temperature control.Ref: Ganong's review of medical physiology; 24th edition